Wavelength of UVB rays is ?
1. 290 - 320 nm
2. 320 - 360 nm
3. 360 - 390 nm
4. 390 - 420 nm

Correct answer: 1. 290 - 320 nm

Explanation: Ans. is 'a' i.e., 290 - 320 nm UV rays are used directly to treat skin conditions. It is simply referred to as phototherapy. These may be :? UVB phototherapy (290-320 nm) Narrow band UVB phototherapy (311 nm) UVA1 phototherapy (360-380 nm)